Which of the following doesn't belong to ester group of local anaesthetics:
1. Chlorprocaine
2. Tetracaine
3. Benzocaine
4. Dibucaine

Correct answer: 4. Dibucaine

Explanation: Ans: (d) DibucaineRef: KDT 6th ed. / 352* Dibucaine is amide group of local anesthetics.ESTER and AMIDESEster (one Tin name)Amides (2 Tin name)* Cocaine* Benzocaine* Chlorprocaine* Tetracaine* Lignocaine* Bupivacaine* Prilocaine* Dibucaine* EtidocaineRemember: Amide group of LA contain "2 i" in their names.* All LA causes causes vasodilation and hypotension, EXCEPT Cocaine. It causes vasoconstriction and significant rise in BP.